The best marker to diagnose thyroid related disorders is-
1. T3
2. T4
3. TSH
4. Thyroglobulin

Correct answer: 3. TSH

Explanation: Answer is option 3 TSH The enhanced sensitivity and specificity of TSH assays have greatly improved laboratory assessment of thyroid function. Normal TSH excludes primary abnormalities of thyroid mostly. Ref Harrison 19e /p2283